Partial pressure of CO2 is lowest in:
1. Arterial blood
2. End tidal air
3. Expired air
4. Venous blood

Correct answer: 3. Expired air

Explanation: (Refer: Ganong Figure 34-15, 24th edition, pg no: 635)
Normal P02 and PC02 at various sites